The pulseless disease is -
1. Giant cell arteritis
2. Takayasu arteritis
3. Kawasaki disease
4. Polyarteritis nodosa

Correct answer: 2. Takayasu arteritis

Explanation: Takayasu arteritis

Takayasu arteritis is granulomatous vasculitis of large and medium arteries.
It is characterized principally by ocular disturbance and marked weakening of pulses in the upper extremities Pulseless disease.
It is also characterized by a strong predilection for aortic arch and its branches → Aortic arch syndrome.
It is more common in Adolescent girls and young women.
Morphological changes in vessel wall are same as in giant cell arteritis.

Clinical presentation

Symptoms are mainly according to the involved vessel -
C Subclavian artery :
Most commonly involved vessel
Symptoms are - Arm claudication, lower BP and weaker pulse in upper limb than in lower limb, Raynaud's phenomenon.
Common carotid → Visual disturbances, stroke, TIA, syncope.
Abdominal aorta or coeliac artery or superior mesenteric artery → Abdominal pain, nausea, vomiting



Renal → Hypertension, Renal failure
Aortic root  → Aortic regurgitation, CHF
Vertebral → Visual disturbances
Iliac → Leg claudication
Pulmonary → Pulmonary hypertension, dysnea, chest pain.
Coronary → Angina, MI
Constitutional symptoms → As with other vasculitis malaise, fatigue, anorexia and weight loss are common.
Elevated ESR and Anemia (as with other vasculitis)